Local anaesthetics act by
1. Effecting the spinal level
2. Effecting the Na+ channel
3. Effecting the K+ channel
4. Blocking axonal transport

Correct answer: 2. Effecting the Na+ channel

Explanation: Effecting the Na+ channel